Plastic cover of syringes are disposed in ?
1. Red bag
2. Yellow bag
3. Black bag
4. Blue bag

Correct answer: 3. Black bag

Explanation: Ans. is 'c' i.e., Black bag "Wrappers of gloves, papers, plastic, wrappers of syringes etc are considered general waste and are to be disposed in black bag"